Stain used in electron microscopy
1. 2.5% FAM
2. Phosphotungstic acid
3. Saffranin
4. Coomassie blue

Correct answer: 2. Phosphotungstic acid

Explanation: Phosphotungstic acid is electron dense, opaque for electrons. It is a common negative stain for viruses, nerves, polysaccharides and other biological tissue materials for imaging by an Electron microscope.